Which of the following vaccines are given according to national immunization schedule at 5 years of age?
1. Pentavalent vaccine, vitamin A
2. DT booster
3. DPT booster, OPV, vitamin A
4. DPT booster, vitamin A

Correct answer: 4. DPT booster, vitamin A

Explanation: according to national immunisation schedule,for childdren at an age of 5 years,DPT booster alomg with vitamin A has to be administered. ref:park's textbook,22 nd ed,pg 88